Which of the following group of Escherichia coli is the common cause of diarrhea in infants and is implicated in outbreaks of diarrhea in nurseries?
1. Enterotoxigenic
2. Enteroinvasive
3. Enteropathogenic
4. Enterohemorrhagic

Correct answer: 3. Enteropathogenic

Explanation: Enteropathogenic Escherichia coli (EPEC) is common cause of infantile diarrhea in infants in developing countries. EPEC is associated with outbreaks of diarrhea in nurseries and day care center. Mechanism of causation: EPEC adheres to epithelial cells of the intestine adhesive factor and causes destruction of microvilli. This results in watery diarrhea and fever. Ref: Ray C.G., Ryan K.J. (2010). Chapter 33. Enterobacteriaceae. In C.G. Ray, K.J. Ryan (Eds), Sherris Medical Microbiology, 5e.